A Perimenopausal P2L2 lady at 49 yrs of age is diagnosed with large uterine fibroid with heavy menstrual bleeding which is not responsive to medical management for past 1 year. She is symptomatic with multiple gall stones For her management, she is planned for hysterectomy. Which of the following is true for the surgery?
1. A supracervical hysterectomy should be considered to preserve sexual function and pelvic support
2. Cholecystectomy should not be combined with hysterectomy as it increases post operative febrile morbidity and length of hospital stay
3. Thromboprophylaxis is required post operatively
4. Since the age group is a likelihood for an endometrial malignancy, a radical Hysterectomy hence is a better option

Correct answer: 3. Thromboprophylaxis is required post operatively

Explanation: All patients undergoing hysterectomy for benign disorders are at (at least) moderate risk for venous thromboembolism and require prophylaxis. Mechano-prophylaxis (intermittent pneumatic compression devices) or chemoprophylaxis (unfractionated heparin or low molecular-weight heparin) or a combination of chemoprophylaxis and mechano-prophylaxis are indicated, depending on the patient's risk. Pelvic surgeries are the maximum risk of DVT development and hence Thromboprophylaxis is required here. There is no evidence to support the concept that leaving the cervix improves sexual function or lower rates of incontinence or constipation. Gallbladder disease is about four times more common in women than men, and its highest incidence occurs between 50 and 70 years of age, when hysterectomy is most often performed. Women may require both procedures and a combined procedure does not appear to result in increased febrile morbidity or length of hospital stay. A radical Hysterectomy is a way more morbid surgery and is not recommended till a malignancy is proved.